Not true about facial vein is ?
1. Drains in EJV
2. Largest vein of face
3. Formed from angular vein
4. Has no valves

Correct answer: 1. Drains in EJV

Explanation: Ans. is 'a' i.e., Drains in EJV The facial vein is the largest vein of the face with no valves.It begins as the angular vein at the medial angle of the eye.Angular vein is formed by the union of supraorbital and supratrochlear veins.The angular vein continues as facial veins.Which joins the anterior division of retromandubular vein (i.e. deep facial vein) below the angle of the mandible to form common facial vein.Common facial vein drains into the internal jugular vein.